Regarding lUGR:
1. Abdominal circumference (AC) is the least sensitive parameter for detection of lUGR
2. In asymmetric lUGR head circumference/abdominal circumference (HC/AC) is reduced
3. Serial biparietal diameter (BPD) is the only important measurement in lUGR
4. Abdominal circumference is the most accurate measurement

Correct answer: 4. Abdominal circumference is the most accurate measurement

Explanation: Abdominal circumference is the most accurate measurement to predict IUGR. AC below 10th centile is used as a cutoff. AC should increase by at least 10mm in 2 weeks. AC is measured preferably at the level of the junction of the left and right portal veins,umbilical vein and as round as possible. TEXTBOOK OF OBSTETRICS, Sheila Balakrishnan,2nd edition, page no.205